Purkinje cells from the the cerebellum end in :
1. Extrapyramidal system
2. Cranial nerve nuclei
3. Cerebellar nuclei
4. Cerebral cortex

Correct answer: 3. Cerebellar nuclei

Explanation: C i.e. Cerebellar nuclei